Cellular immunity is affected by -
1. Cytokines
2. Immunoglobulins
3. g-globulins
4. Prostaglandins

Correct answer: 1. Cytokines

Explanation: The helper T1 cells produce cytokines, interleukin 2 and interferon gamma which activate macrophage and T cells promoting cell-mediated immunity. It also helps in the destruction of target cells and killing of intracellular pathogens. Reference : Anathanarayan & paniker's 9th edition, pg no:135